A patient with severe anemia has normal lungs. You would expect:
1. Low arterial PO2
2. Low arterial O2 saturation
3. Normal arterial O2 concentration
4. Low oxygen concentration of mixed venous blood

Correct answer: 4. Low oxygen concentration of mixed venous blood

Explanation: In a patient with severe anemia but normal lungs, the oxygen concentration of arterial blood will be reduced, and therefore, if the cardiac output and oxygen uptake are normal, the oxygen concentration of mixed venous blood will also be reduced. The other choices are incorrect because the arterial PO2 and O2 saturation will be normal if the patient has normal lungs, but of course the arterial oxygen concentration will be reduced, and the tissue PO2 will therefore be abnormally low. Note that a patient with severe anemia usually has some increase in cardiac output, but nevertheless, the oxygen concentration of mixed venous blood will be low. As in all these questions, the one best answer is being sought, and this is clearly D. Normal Arterial Po2, |Mixed venous Po2, |2,3-DPG